Fertilization takes place after how much time of ovulation -
1. 1-2 days
2. 5-6 days
3. 8-12 days
4. > 12 days

Correct answer: 1. 1-2 days

Explanation: Ans. is 'a' i.e., 1-2 dayso Human ovum remains fertile for 12-24 hours after ovulation. Thus, fertilization can occur during this period only.o Reproductive life of ovum - 24 hours (12-24 hours)o Reproductive life of sperm - 24 - 72 hours